Mechanism by which IUCD does not act :
1. Chronic endometrial inflammation
2. Increase the motility of tubes
3. Inducing endometrial atrophy
4. Inhibition of ovulation

Correct answer: 4. Inhibition of ovulation

Explanation: Ans. is d i.e. Inhibition of ovulation Mechanism of Action nf IUCD : Non medicated IUCD Cu containing IUCD Progestin releasing IUCD Act as a foreign body in * Elute copper which * They cause decidualization uterus and produce, a bring about enzymatic with atrophy of endometrial sterile inflammatory response & metabolic changes glands, therefore inhibit and tissue injury of minor in the endometrial implantation degree sufficient enough tissue & also produce * Alter cervical Mucus causing to be spermicidal. changes in cervical inhibition of sperm penetration (They prevent sperms from mucus & endometrial and capacitation. reaching the ova and therefore secretions. * In 40% cases ovulation is also prevent both intrauterine and inhibited. ectopic pregnancy It provokes uterine contractility & increases tuba/ peristalsis. "The contraceptive action of all IUCD's is mainly in the uterine cavity. Ovulation is not affected and the IUCD is not an abortifacient. It is currently believed that the mechanism of action for IUCD's is the production of an intrauterine environment that is spermicidal." So, inhibition of ovulation is not the mechanism of action of IUCD's. (Except for progesterone containing IUCD'swhich inhibit ovulation, that too in only 40% cases) Act as a foreign body in * Elute copper which * They cause decidualization uterus and produce, a bring about enzymatic with atrophy of endometrial sterile inflammatory response & metabolic changes glands, therefore inhibit and tissue injury of minor in the endometrial implantation degree sufficient enough tissue & also produce * Alter cervical Mucus causing to be spermicidal. changes in cervical inhibition of sperm penetration (They prevent sperms from mucus & endometrial and capacitation. reaching the ova and therefore secretions. * In 40% cases ovulation is also prevent both intrauterine and inhibited. ectopic pregnancy